The most common second malignant in survivors of retinoblastoma is –
1. Thyroid cancer
2. Nasopharyngeal carcinoma
3. Optic glioma
4. Osteosarcoma

Correct answer: 4. Osteosarcoma

Explanation: Most common secondary tumor in survivors of retinoblastoma is osteosarcoma.